All are true about mandible fracture except:
1. Condylar neck is most common site
2. Malocclusion of teeth may occur
3. Anterior superior alveolar nerve is most commonly injured
4. Panorex radiographs are useful for diagnosis

Correct answer: 3. Anterior superior alveolar nerve is most commonly injured

Explanation: Answer- C. Anterior superior alveolar nerve is most commonly injuredThe condylar neck is the weakest part of the mandible and, is the most frequent site of fracture.Trauma to the inferior alveolar nerve leads to permanent numbness of the lower lip and teeth on the affected side.Fractures of the coronoid process of the mandible can result in trismusIn fracture of condyle,displaced fragments leads to malocclusion of teeth & deviation of jaw to the opposite side on opening the mouth.X-rays useful in mandibular fractures are PA view of the skull (for condyle), right & left oblique view of mandible & panorexview.Condylar and subcondylar mandible fractures are most often treated by IMF alone.Delayed union and nonunion occur in approximately 3% of fractures.